The minimum amount of fluoride that should be present in salt for effective anticaries activity in:
1. 3mg of F/5gm of salt
2. 1.5mg of F/5gm of salt
3. 10mg of F/5gm of salt
4. 100mg of F/5gm of salt

Correct answer: 2. 1.5mg of F/5gm of salt